The following are true about benign paroxysmal positional vertigo except -
1. Fatigability
2. Good reproducibility
3. Habituation
4. Latency

Correct answer: 2. Good reproducibility